Which of the following is long-acting sympathomimetic used in bronchial asthma?
1. Salbutamol
2. Terbutaline
3. Pirbuterol
4. Salmeterol

Correct answer: 4. Salmeterol

Explanation: Sympathomimetics: beta 2 agonists: short acting(2-6 hrs)- Salbutamol, Terbutaline, pirbuterol long-acting(more than 12 hrs)- Salmeterol, Formoterol, clenbuterol ESSENTIALS OF MEDICAL PHARMACOLOGY 7TH EDITION KD TRIPATHI Page no :222,223